What is the mode of action of Sodium Cromoglycate?
1. Mast cell stabilization
2. Antihistaminic
3. Anticholinergic
4. None of the above

Correct answer: 1. Mast cell stabilization

Explanation: Ans. is 'a' i.e., Mast cell stabilization Mast cell stabilizer Mast cells are the major source of inflammatory mediators in asthma. Therefore, the drugs which prevent degranulation and release of inflammatory mediators of mast cells can be used for long term prophylaxis in mild to moderate asthma. These drugs are ineffective in acute attack of asthma as degranulation of mast cells with release of inflammatory mediators has already occured. Sodium cromoglycate and nedocromil are mast cell stabilizers. Nedocromil has additional antihistaminic action, thus it is especially indicated in patient with multiple disorders (asthma, atopic dermatitis, conjuctivitis, rhinitis, urticaria and food allergy). Sodium cromoglycate is not absorbed orally, therefore it is used by inhalational route. Ketotifen is absorbed orally and is used by this route.